A patient with a history of ankle edema, shortness of breath and orthopnea, is probably suffering from:
1. Asthma
2. Emphysema
3. Cardiac decompensation
4. Constrictive pericarditis

Correct answer: 3. Cardiac decompensation